Mothers with phenylketonuria (PKU) are at increased risk of having children with
1. Hydrocephaly
2. Spina bifida
3. Skeletal dysplasia
4. Intellectual disability

Correct answer: 4. Intellectual disability

Explanation: Women with PKU who plan to conceive and are not already on a phenylalanine-restricted diet should be counseled to adhere to the diet before conception and throughout pregnancy. Phenylalanine readily crosses the placenta, and high maternal serum levels can result in damage to the fetus or pregnancy loss. Hyperphenylalaninemia causes microcephaly with intellectual disability and cardiac defects in the heterozygote fetus who otherwise would not be affected. Importantly, these defects can be prevented with maternal dietary treatment. Ref : Biochemistry by U. Satyanarayana 3rd edition Pgno : 347-351